Which is the best index for burden of disease and effectiveness of interventions
1. Case fatality rate
2. Disability adjusted life years
3. Dependent ratio
4. Morbidity data

Correct answer: 2. Disability adjusted life years

Explanation: Disability adjusted life years (DALYs) : Is a measure of the burden of disease in a defined population and the effectiveness of interventions; it expresses years lost to premature death and years lived with disability adjusted for its severity. Ref : Park 25th edition Pgno : 26